All the following are the abnormalities in lens shape Except
1. Spherophakia
2. Microphakia
3. Microspherophakia
4. Aphakia

Correct answer: 4. Aphakia

Explanation: Microphakia, spherophakia (microspherophakia) all are types of abnormal lens.Microphakia - Abnormal smallness of the lens of the eye.Spherophakia (microspherophakia) - in spherophakia the lens is small and spherical (increase the anterior and posterior curvature of the lens). Angle-closure glaucoma occurs when the small round lens has blocked the flow of aqueous through the pupil.Aphakia is an absence of the lens.